Which system is primarily affected by tetanus?
1. Hematological
2. Nervous
3. Skeletal
4. All

Correct answer: 2. Nervous

Explanation: Nervous REF: Harrison's Internal Medicine 17th edition chapter 133 "Tetanus is a neurologic disorder, characterized by increased muscle tone and spasms that is caused by tetanospasmin, a powerful protein toxin elaborated by Clostridium tetani"